Which antiepileptic drug does not act via inhibition of sodium channels?
1. Vigabatrin
2. Carbamazepine
3. Lamotrigine
4. Phenytoin

Correct answer: 1. Vigabatrin

Explanation: Ans. (A) Vigabatrin(Ref: KDT 8/e p448)Vigabatrin inhibits the metabolism of GABA by inhibition of GABA transaminase enzyme. It has no effect on Na+ channels.